Which of the following symptoms must be present for the diagnosis of depressive disorders?
1. Loss of interest or pleasure
2. Recurrent suicidal tendencies
3. Insomnia
4. Indecisiveness

Correct answer: 1. Loss of interest or pleasure

Explanation: According to DMS - IV and DSM - V, to diagnose depression at least one of the following two symptoms should be present (1) Depressed mood (2) Loss of interest or pleasure